If we do another study for 10-20 years in forward direction after retrospective cohort study, it now is known as:-
1. Mixed Cohort study
2. Retrospective cohort study
3. Nested case control study
4. Mixed case control study

Correct answer: 1. Mixed Cohort study

Explanation: Mixed Cohort Studies Combination of Retrospective Cohort study + Prospective cohort study The cohort is identified from past records and is assessed till date for the outcome. (Retrospective cohort) The same cohort is followed up prospectively into future for further assessment of outcome. (Prospective cohort)